Whichof the following statements about Wilm's tumor is true:
1. Always Unilateral
2. Associated with poor prognosis
3. Most common site of metastasis is bone
4. Radiosensitive

Correct answer: 4. Radiosensitive

Explanation: Answer is D (Radiosensitive) Wiltn's tumor is both chemosensitive and Radiosensitive (unlike renal cell carcinoma which is considered radioresistant and chemoresistant) Wilm's tumor is associated with a good prognosis The prognosis of Wilm's tumor is currently very good and excellent results are obtained with a combination of chemotherapy & nephrectomy. Most common site of Metastasis in Wilm's Tumor is Lungs Metastasis occurs early, mainly by the blood stream to the lungs. Liver and bone metastasis are rare and brain metastasis even more so. Wilm's tumor may be bilateral (not always unilateral) Wilin's tumor may arise in one or both kidneys. The incidence of bilateral Wilm's tumor is 7% - Nelson